Which of the following is most useful for reversing severe ergot induced vasopam
1. Ergotamine
2. Methysergide
3. Nitroprusside
4. Phenoxybenzamine

Correct answer: 3. Nitroprusside

Explanation: this agent is mixed dilator and is Highly Effective agent against ergot induced vasospasm. it is also the drug of choice for most of the hypertensive emergencies Ref-Goodman and Gillman 11/e p311